Sclerotic bodies are seen in:
1. Sporotrichosis
2. Histoplasmosis
3. Chromoblastomycosis
4. Rhinosporodiosis

Correct answer: 3. Chromoblastomycosis

Explanation: Ans. C: Chromoblastomycosis Histologically the lesion of chromoblastomycosis show the presence of the fungus as round or irregular,dark brown, yeast like bodies with septae, called sclerotic bodies. Diagnosis of chromoblastomycosis can be established by demonstration of these sclerotic bodies in KOH mounts or in sections and by culture on Sabouraud's agar